About National Programme for Control of Blindness (NPCB), all are true except
1. Increase cataract surgery rate to 450 operations per one lac population
2. 100% coverage of vitamin A prophylaxia doses from 9 months to 3 years age
3. Intra-ocular lens implanation in more than 80% of cataract surgery cases
4. Development of 50 paediatric ophthalmology units

Correct answer: 2. 100% coverage of vitamin A prophylaxia doses from 9 months to 3 years age

Explanation: Targets for X five year plan under vision 2020.

Increase cataract surgery rate to 450 operations per one lac population
Improve visual outcome (>6/18) after cataract surgery in 80%
Intra-ocular lens implantation in > 80% of cataract surgery cases
Development of 50 paediatric ophthalmology units in tertiary care hospitals.
Screen known diabetics for diabetic retinopathy
Screen for glaucoma for those > 35 years attending eye clinics
Basic refraction services available in all districts
4000 vision centres manned by trained optometrist/Refractionist/Ophthalmic Assistant
Low vision centres at 50 centres of excellence/tertiary centres
25 fully functiona, accredited safe eye banks
MMR replace Measles vaccine, coverage >60
75% coverage for regular vitamin A supplementation (till 5 years age)